Causes of Bell's palsy include all EXCEPT
1. HIV
2. Diabetes mellitus
3. Multiple sclerosis
4. Frontal sinusitis

Correct answer: 4. Frontal sinusitis

Explanation: (D) Frontal sinusitis # CAUSES OF BELL'S PALSY> Herpes virus Herpes simplex virus (HSV), including either herpes type 1 (HSV-1), which causes cold sores, or herpes type 2 (HSV-2), which causes genital herpes Varicella-zoster virus, which causes chickenpox and shingles Varicella-zoster virus is a less common cause of Bell's palsy than the herpes simplex virus, but can lead to the more serious condition called Ramsay Hunt Syndrome.> Other viruses Lyme disease Syphilis Epstein-Barr virus - which causes glandular fever Cytomegalovirus> Other risk factors> Diabetes & HIV are thought to be at a higher risk of developing Bell's palsy, although the reason for this is not fully understood.> Facial nerve damage can also be caused by progressive nerve diseases such as multiple sclerosis. High blood pressure; Trauma; Toxins Lyme disease Guillain-Barre syndrome Sarcoidosis Myasthenia gravis Infection